According to Sigmund Freud, which of the following best describes primary processes?
1. Typically conscious
2. Absent during dreaming
3. Nonlogical and primitive
4. Characteristic of the neuroses

Correct answer: 3. Nonlogical and primitive

Explanation: Primary process thinking is primitive, nonlogical, and timeless. Primary processes characterize the operational style of the id and are manifested in dreams. According to Freud's theory; condensation, displacement, and symbolic representation are forms of primary processes.